Leukocyte alkaline phosphate is increased in all,except-
1. Polycythyemia vera
2. CML
3. Myelofibrosis
4. Myeloid metaplasia

Correct answer: 2. CML